Which is not seen in HMG CoA pathway?
1. Pyruvate
2. Cholesterol
3. Mevalonate
4. Acetyl CoA

Correct answer: 1. Pyruvate